All are true regarding epigenetics mechanism except:
1. Non-heritable
2. Acetylation of Histone
3. Hereditary
4. Methylation of DNA

Correct answer: 1. Non-heritable

Explanation: Ans. (A) Non-heritableEpigenetics is defined as the study of heritable chemical modification of DNA or chromatin that does not alter the DNA sequence itself. Example of such modification include methylation of DNA & the methylation er acetylation of histones.Epigenetic modification is critical for normal development including-regulation of tissue specific gene expression, X-chromosome inactivation & genomic imprinting.An epigenetic modification refers to a change in the genome, heritable by cell progeny, that does not involve a change in the DNA sequence. The inactivation of the second X chromosome in female cells is an example of an epigenetic silencing that prevents gene expression from the inactivated chromosome.